Commonest cause of thunderclap headache:
1. Extradural hemorrhage
2. Aneursymal SAH
3. Subdural hemorrhage
4. Basilar migraine

Correct answer: 2. Aneursymal SAH

Explanation: Ans. Aneursymal SAH